Sclerosing cholangitis as a side effect caused by the drug:
1. Floxuridine
2. Carbamazepine
3. Sulfonamides
4. Indinavir

Correct answer: 1. Floxuridine

Explanation: Sclerosing cholangitis develops after intrahepatic infusion of the chemotherapeutic agent floxuridine for hepatic metastases from a primary colonic carcinoma. Reference: Harrisons Principles of Internal Medicine, 18th Edition, Page 2560